A dental surgeon appointed in a rural health centre reports an increased incidence of dental caries in the people of that area. Research team confirmed that water supply of that area is deficient in
1. Chloride
2. Sodium
3. Calcium
4. Fluoride

Correct answer: 4. Fluoride